Immunomodulator which is used for genital was is:
1. A Podophyllum
2. Imiquimod
3. Predrisolone
4. IFN

Correct answer: 2. Imiquimod

Explanation: Imiquimod is an immunomodulator shown to be effective in the treatment of external genital and perianal was. Ref: Basic and Clinical Pharmacology By Katzung, 10th Edition, Pages 816, 817, 996